Clue cells are seen in :
1. Bacterial vaginosis
2. Candidasis
3. Trichomoniasis
4. Gonorrhoea

Correct answer: 1. Bacterial vaginosis

Explanation: Clue cells Epithelial cells with fuzzy border due to adherance of bacteria is seen in Bacterial vaginosis. eg: Gardnerella, mobiluncus, Mycoplasma hominis, Haemophilus vaginalis Ref: SHAW'S TEXTBOOK OF GYNAECOLOGY; 15TH EDITION; PG NO:131